All of the following are feature of autonomic neuropathy, Except:
1. Resting Tachycardia
2. Silent Myocardial Infarction
3. Orthostatic Hypotension
4. Bradycardia

Correct answer: 4. Bradycardia

Explanation: Answer is D (Bradycardia) : Autonomic neuropathy is associated with tachycardia and not bradycardia.